Which of the following statement regarding typhoid in children is false?
1. Splenomegaly may be seen
2. Neutropenia may be present
3. Urine and stool culture may show the organism after 2 weeks of illness
4. Relative bradycardia is invariably seen in children

Correct answer: 4. Relative bradycardia is invariably seen in children

Explanation: Relative bradycardia is not always present in a child with typhoid fever. Typhoid is diagnosed using blood culture which is positive during the 1st week of illness, urine culture during 2nd or 3rd week or using widal test during 3rd week of illness. Ref: Textbook of Microbiology By Ananthanarayan, 8e page 296.